A 35 years old man Ramu has fasting and post prandial blood sugar within normal limit but urine sugar is 3 plus (+++). The diagnosis is -
1. Renal Glycosuria
2. Pancreatic insufficiency
3. Alimentary glycosuria
4. High carbohydrate diet taken in the morning

Correct answer: 1. Renal Glycosuria

Explanation: Ans is option 1 - renal glycosuria Renal glycosuria is characterized by excretion of glucose at normal concentration of glucose in blood. Here patient has normal blood glucose in both fasting and postprandial., Ref Harrison 15/2315